The explosive and widespread form of secondary syphilis in immuno compromised individual is known as
1. Condylornata lata
2. Mucous patches
3. Lues maligna
4. Lupus vulgaris

Correct answer: 3. Lues maligna